Radial Nerve injury of this type recovers with conservative management
1. Neurotmesis
2. Crush injury
3. Neuropraxia
4. Chemical injury

Correct answer: 3. Neuropraxia

Explanation: Neurapraxia Block to conduction of electrical impulses down a nerve without disruption of the axon or supporting cells. Physiological rather than anatomical disruption Prognosis is excellent when the cause is removed.